Corpus luteum formation occurs on _______ of menstrual cycle:
1. 15th day
2. 22nd day
3. 1st day
4. 28th day

Correct answer: 1. 15th day

Explanation: Ans. (a) 15th dayRef.: D.C. Dutta 8th ed. / 22; Williams Obstetrics 23rd ed. Ch: 3* Following ovulation (14th day) the remaining follicular cells left by the ovulated follicle differentiate into the corpus luteum (meaning yellow body.).* Corpus luteum secrets progesterone, which causes secretory changes in endometrium.MENSTRUAL PHASESCycle Day1-56-1415-28Ovarian phaseEarly follicleFollicularLutealEndometrial phaseMenstrualProliferativeSecretoryEstrogen/ ProgesteroneLow levelsEstrogenProgesterone